Carcinoma cervix is predisposed by all except :
1. Early marriage
2. Multiparity
3. Nullipara
4. Herpes simplex type II

Correct answer: 3. Nullipara

Explanation: Nullipara